The following are associated with beta-2 agonist treatment except -
1. Hyperkalemia
2. Hyperglycemia
3. Detrusor relaxation
4. Relaxation of gut and bronchial muscles

Correct answer: 1. Hyperkalemia

Explanation: Ans. is 'a' i.e., Hyperkalemia Effect of svmpathomimetics on plasma potassium. o The biochemical pump that shifts potassium into cells is activated by the f32-adrenoreceptor agonists. o So [3,-agonists cause hypokalemia. o The hypokalemia effects of 132-agonists may be clinically important, particularly in patients having pre-existing hypokalemia, e.g., due to intense adrenergic activity such as occurs in myocardial infarction, with diuretic therapy, and with digoxin therapy. o In such patients the use of sympathomimetic or of an adrenaline-containing local anaesthetic may precipitate cardiac arrhythmia. 13-blockers prevent cardiac arrhythmia after myocardial infarction due to block of 132-receptor induced hypokalemia. o Hyperglycemia, relaxation of detrusor, gut and bronchial muscle can be caused by [3, receptors ((3-2 agonist) Remember o Option 'a' also is partially correct as initially there is hyperkaelemia. "K+ is first released from liver --> hyperkalaemia; followed by more prolonged hypokalaemia due to K+ uptake in muscle and later liver itself:" o So keep it in your mind that hyperkalaemia can also occur. Next time question may come with different options, where one of the option may be absolutly wrong, then your answer will change.